In parathyroid carcinoma
1. 5-10% incidence
2. Increased parathromone, decreased calcium in bone
3. Cytology is diagnostic
4. Metastasis is essential

Correct answer: 2. Increased parathromone, decreased calcium in bone

Explanation: In Parathyroid carcinoma there is excess release of parathormone which results in increased blood calcium levels and decreased bone calcium level. Cytolologic details are unreliable in its diagnosis whereas invasion of surrounding tissue and metastasis are only reliable. Ref: Robbins and cotrans 9e Pg 1102